Content of epiplocele is?
1. Omentum
2. Intestine
3. Colon
4. Urinary bladder

Correct answer: 1. Omentum

Explanation: ANSWER: (A) OmentumREF: Bailey 8t Love 25th edition page 969 CONTENTS OF HERNIA:These can be:Omentum = omentocele (synonym: epiplocele)Intestine = enterocele; more commonly small bowel but may be large intestine or appendixA portion of the circumference of the intestine = Richter s herniaA portion of the bladder (or a diverticulum) may constitute part of or be the sole content of a direct inguinal, a sliding inguinal or a femoral herniaOvary with or without the corresponding fallopian tubeA Meckel's diverticulum = a Littre's herniaFluid, as part of ascites or as a residuum thereof.